Which of the following drugs is used to treat both diabetes mellitus and diabetes insipidus
1. Chlorpropamide
2. Glibenclamide
3. Glicazide
4. Glipizide

Correct answer: 1. Chlorpropamide